Supernumerary teeth most common site ?
1. Maxillary incisor and canine
2. Mandibular incisor and canine
3. Maxillary central incisor
4. Mandibular central incisor

Correct answer: 3. Maxillary central incisor

Explanation: Ans. is'c'i.e., Maxillary central incisorThe dental lamina produces more than the normal number of buds, supernumerary teeth occur, most often in the area between the maxillary central incisors.Because they tend to disrupt the position and eruption of the adjacent normal teeth, their identification by radiographic examination is impoant